Following is NOT a benefit of Randomization:
1. Reduction of bias in selection of groups
2. Ensure comparability of both groups
3. Facilitates blinding of treatment
4. Increases external validity of study

Correct answer: 4. Increases external validity of study

Explanation: RANDOMISATION IN RCT causes: Reduction of selection bias Ensure comparability of both groups Ensure similar prognostic factors in both groups Facilitates blinding of treatment Increases Internal validity of study. Hence option-4 is answer.